In the extraoral technique for mandibular nerve
block the needle after contacting the pterygoid plate is directed
1. Anteriorly
2. Posteriorly
3. Superiorly
4. Inferiorly

Correct answer: 2. Posteriorly